Game Keeper's thumb is
1. Ulnar collateral ligament injury of MCP Joint
2. Radial collateral ligament injury of MCP joint
3. Radial collateral ligament injury of CMC joint
4. Ulnar collateral ligament injury of CMC joint

Correct answer: 1. Ulnar collateral ligament injury of MCP Joint

Explanation: A i.e. Ulnar collateral ligament injury of MCP Joint